A 40 year old male with diabetes presents with vitreous hemorrhage. What is the cause?
1. Posterior retinal detachment
2. Neovascularization at disc
3. Central retinal vein occlusion
4. Trauma to central retinal artery

Correct answer: 2. Neovascularization at disc

Explanation: Neovascularization, defined as abnormal formation of blood vessels in the retina, is a sight-threatening condition indicative of late-stage diabetic retinopathy (DR). ...Neovascularization on the disc (NVD) is diagnosed when new vessels are located within one disc-diameter of the optic disc. Ref AK khurana 6/e p 278